Anti ds DNA antibody is specific for
1. SLE
2. Systemic sclerosis
3. CREST syndrome
4. Sjogren's syndrome

Correct answer: 1. SLE

Explanation: Ref image- Harrison's internal medicine 20e p2517